Neurological manifestations of water intoxication are all of the following except:
1. Headache
2. Confusion
3. Increased risk of intracerebral hemorrhage
4. Convulsions

Correct answer: 3. Increased risk of intracerebral hemorrhage

Explanation: Ans. C: Increased risk of intracerebral hemorrhage Acute hyponatremia is called water intoxication, which is generally the result of drinking excessive amounts of plain water which causes a low concentration of sodium in the blood. The early warning signs are often subtle and may be similar to dehydration and include nausea, muscle cramps, headache, disorientation, slurred speech, and confusion. At this point, many athletes drink more water because they think they are dehydrated. Unfortunately, water alone will increase the problem of hyponatremia. At the most extreme an athlete may experience seizures, coma, or death. Increased risk of intracerebral hemorrhage is associated with hypernatremia.